Which of the following polyps do not have malignant  potential ?
1. Villous adenoma
2. Tubular adenoma
3. Hyperplastic polyps
4. Multiple polyposis

Correct answer: 3. Hyperplastic polyps

Explanation: Hyperplastic polyps do not have malignant  potential.